Rituximab is an antibody against?
1. CD20
2. CD 52
3. TNF
4. CD 68

Correct answer: 1. CD20

Explanation: ANSWER: (A) CD20 REF: Goodman and Gillman 11th edition page 901, Katzung 12th edition page no 646 Repeat Pharmacology December 2009 See APPENDIX-34 below for "FDA APPROVED MONOCLONAL ANTIBODIES" "Rituximab, sold under the trade names Rituxan and MabThera, is a chimeric monoclonal antibody against the protein CD20, which is primarily found on the surface of B cells. Rituximab is used in the treatment of many lymphomas, leukemias, transplant rejection and some autoimmune disorders" APPENDIX - 34 FDA Approved Monoclonal Antibodies Antibody Type Target Indication (What it's approved to treat) Abciximab chimeric Inhibition of glycoprotein Ilb/IIIa Cardiovascular disease Adalimumab human Inhibition of TNF-alpha signaling Several auto-immune disorders Alemtuzumab humanized CD52 Chronic lymphocytic leukemia Basiliximab chimeric IL-2Rc; receptor (CD25) Transplant rejection Bevacizumab humanized Vascular endothelial growth factor (VEGF) Colorectal cancer, Age-related macular degeneration (off-label) Cetuximab chimeric Epidermal growth factor receptor Colorectal cancer, Head and neck cancer Certolizumab pegol humanized Inhibition of TNF-alpha signaling Crohn's disease Daclizumab humanized IL-2Rcr receptor (CD 2 5) Transplant rejection Eculizumab humanized Complement system protein C5 Paroxysmal nocturnal hemoglobinuria Efalizumab humanized CDlla Psoriasis Gemtuzumab humanized CD33 Acute myelogenous leukemia (with calicheamicin) Ibritumomab tiuxetan murine CD20 Non-Hodgkin lymphoma (with yttrium- 90 or indium-111) Infliximab chimeric Inhibition of TNF-alpha signaling Several autoimmune disorders Muromonab-CD3 murine T cell CD3 Receptor Transplant rejection Natalizumab humanized Alpha-4 (c4) integrin, Multiple sclerosis and Crohn's disease Omalizumab humanized Immunoglobulin E (IgE) Mainly allergy-related asthma Palivizumab humanized An epitope of the RSV F protein Respiratory Syncytial Virus Panitumumab human Epidermal growth factor receptor Colorectal cancer Ranibizumab humanized Vascular endothelial growth factor A (VEGF-A) Macular degeneration Rituximab chimeric CD20 Non-Hodgkin lymphoma Tositumomab murine CD20 Non-Hodgkin lymphoma Trastuzumab humanized ErbB2 Breast cancer